Reslizumab is used in :
1. Psoriasis
2. RSV infection
3. Asthma
4. Crohn's disease

Correct answer: 3. Asthma

Explanation: Reslizumab is a monoclonal antibody against IL - 5 and thus inhibits recruitment of eosinophils. It is used in cases of asthma.